Luminal narrowing of which of the following vessels would compromise blood flow through the renal arteries?
1. Abdominal aorta
2. Celiac trunk
3. Common iliac artery
4. Inferior mesenteric artery

Correct answer: 1. Abdominal aorta